The drug for OPD analgesia is-
1. Morphine
2. Pethidine
3. Fentanyl
4. Alfentanil

Correct answer: 4. Alfentanil

Explanation: Ans. is 'd' i.e., AlfentanilDrugs useful for day care surgeryo Propofolo Sevoflurane, desflurane & isofluraneo Alfantanilo Midazolamo Mivacurium